All of the Following can cause SLE like syndrome, except
1. Isoniazide
2. Pencillin
3. Sulphonamides
4. Hydralazine

Correct answer: 2. Pencillin

Explanation: Drugs which cause SLE like syndrome are S-sulphonamides H-Hydralazine I-ISONIAZIDE P-procainamide